Sputum examination is not useful in diagnosis of -
1. Trichuris trichura
2. Ank. Duodenale
3. Paragonimiasis
4. Strongyloides

Correct answer: 1. Trichuris trichura

Explanation: Diagnosis of trichuris trichura The characteristic eggs are found in stools. The degree of infection can be assessedby egg counts in all other cases sputum examination is beneficial paragonimus westermani-lung fluke